Half–life of Iodine 131 is –
1. 8 hours
2. 8 days
3. 8 weeks
4. 8 months

Correct answer: 2. 8 days